The following condition of GB is precancerous
1. Cholesterosis
2. Porcelain gall bladder
3. Biliary atresia
4. Choledochal cyst

Correct answer: 2. Porcelain gall bladder

Explanation: Porcelain gallbladder is the pattern when the gallbladder wall is calcified and cracks like an egg-shell. Porcelain gallbladdder is particularly likely to become cancerous. Risk factors for cart gallbladder includes: 1. Gallstones 2. Genetic factors. 3.carcinogen in bile acids 4.calcificatiin of gall bladder (porcelain gallbladder) 5.GI disorders like ulcerative colitis and polyposis syndrome. TEXTBOOK OF PATHOLOGY 6TH EDITION HARSH MOHAN PAGE NO:642,643